All are true about neutrophil in peripheral smear examination, EXCEPT:
1. Vacuolated neutrophils may be a sign of bacterial sepsis
2. If the neutrophil granules are smaller and stain red, called toxic granules
3. The presence of neutrophils with more than five nuclear lobes suggests megaloblastic anemia
4. Large misshapen granules may reflect the inherited Chediak-Higashi syndrome.

Correct answer: 2. If the neutrophil granules are smaller and stain red, called toxic granules

Explanation: Neutrophils can provide clues to a variety of conditions. Vacuolated neutrophils may be a sign of bacterial sepsis. The presence of 1- to 2-mm blue cytoplasmic inclusions, called Dohle bodies, can reflect infections, burns, or other inflammatory states. If the neutrophil granules are larger than normal and stain a darker blue, "toxic granulations" are said to be present, and they also suggest a systemic inflammation. The presence of neutrophils with more than five nuclear lobes suggests megaloblastic anemia. Large misshapen granules may reflect the inherited Chediak-Higashi syndrome.